Investigation of choice in the diagnosis of posterior fossa tumor?
1. CT scan
2. MRI
3. Angiography
4. Myelography

Correct answer: 2. MRI

Explanation: MRI is superior to CT for identifying all types of posterior fossa tumors. Because it shows more anatomical details and allows detection of smaller tumors. In MRI, brain structures can be imaged from any angle, and can avoid artifacts from the dense petrous bones which often obscure or obliterate relevant clinical information about cerebellum and brainstem while doing a CT. Ref: Mayo Clinic Internal Medicine Board Review By Amit Ghosh, MD, Page 671; Brain Mapping: The Disorders Edited By John C. Mazziotta, Arthur W. Toga, Richard S.J. Frackowiak, Page 6; The 5-minute Neurology Consult By D. Joanne Lynn, Herbert B. Newton, Alexander Rae-Grant, Page 47; Chest X-Ray in Clinical Practice By Rita Joarder, Neil Crundweli, Page 185.